Propranolol is useful in the treatment of all of the following EXCEPT:
1. Angina
2. Partial atrioventricular block
3. Idiopathic hypertrophic subaortic cardiomyopathy
4. Familial tremor

Correct answer: 2. Partial atrioventricular block